Bismuth classification for cholangiocarcinoma, type IV is
1. Common hepatic duct
2. Bifurcation only
3. Bifurcation and B/L secondary intrahepatic ducts
4. Bifurcation and B/L right secondary intrahepatic ducts

Correct answer: 3. Bifurcation and B/L secondary intrahepatic ducts

Explanation: Answer- C. Bifurcation and B/L secondary intrahepatic ducts